All the following are features of chronic lead poisoning except:
1. Encephalopathy
2. Burtonian line
3. Cutaneous blisters
4. Constipation

Correct answer: 3. Cutaneous blisters

Explanation: C i.e. Cutaneous blister